Bone resorption markers are except:
1. Tartarate resistant alk. phosphatase (TRAP)
2. Osteocalcin
3. Cross linked-N-telopeptides
4. Urine total free deoxypyridinoline

Correct answer: 2. Osteocalcin

Explanation: Osteocalcin Osteocalin is a non-collogenous protein secreted by osteoblasts. It is thought to play a role in mineralization and calcium ion hemostasis. "Thus it is a bone formation marker i.e. osteoblastic marker". A large number of studies have shown that the circulating level of osteocalcin reflects the rate of bone formation (not resorption). Biochemical markers of bone resorption Abbr. Name Mechanism Company NTX Aminoterminal cross-linking telepeptide of bone collagen Collagen-based Ostex (Osteomark) CTX Carboxyterminal cross-linking telopeptide of bone collagen Pyridinoline Collagen-based Collagen-based Cross-laps (Osteometer) PYD DPD Free Lysyl-pyridinoline (deoxypyridinoline) Collagen-based Metra (PyrilinksD) TRACP Tarate-resistant acid phosphatase Secreted by osteoclasts Hyp Hydroxy-proline (not very specific) Collagen-based Bone ALP Bone-specific alkaline phosphatase Secreted by osteoblasts Hybritech (Ostase) BAP Metra (Alkphase-B) Orion, Metra (Prolagen) PINP PICP Procollagen type IC propeptide Collagen-based Procollagen type 1 N propeptide Collagen-based Iscstar OC Osteocalcin (bone gla-protein) Secreted by osteoblasts Nichols, Cis Biointer national ALP Alkaline phosphatase (not very specific) Secreted by osteoblasts